An elderly hypertensive has diabetic mellitus and bilateral renal artery stenosis. the best management is
1. Enalapril
2. Verapamil
3. Beta blockers
4. Thiazide

Correct answer: 2. Verapamil

Explanation: Thiazides and beta blockers should be avoided in diabetes mellitus whereas ACE inhibitor should not be given to patient with bilateral renal artery stenosis therefore, Calcium channel blockers, like verapamil are the best given for the management of hypertension Refer kDT 6/e p484